A five day old, full term male infant was severely cyanotic at birth. Prostaglandin E was administered initially and later ballooned atrial septosomy was done which showed improvement in oxygenation. The most likely diagnosis of this infant is -
1. Tetralogy Fallot
2. Transposition of great vessels
3. Truncus Arteriosus
4. Tricuspid Atresia

Correct answer: 2. Transposition of great vessels

Explanation: Ans. is 'b' i.e., Transposition of great vessels Transposition of Great vessels is a condition characterized by aorta arising from the right ventricle and pulmonary artery from the left ventricle. This results in complete separation of systemic and pulmonary circulation. Since systemic and pulmonary circulations are separate, survival depends on mixing of oxygenated pulmonary blood and deoxygenated systemic blood which can occur: At Atrial level Through ASD At Ventricle level Through VSD At Great vessel level . Through Patent ductus arteriosus Oxygenation is normal in foetus but after birth as ductus arteriosus closes severe hypoxia occurs and in the absence of VS.D, or ASD child presents with cyanosis and tachypnea at birth. Jantene arterial switch procedure is surgical treatment of choice and should be performed within first 2 weeks of life. Aorta and pulmonary artery are divided just above the sinuses and reanastomosed in correct anatomical positions. The coronary arteries are then removed from old aortic root along with a button of aortic wall and reimplanted in the old pulmonary root. Other operations available : Arterial switch operation by Mustard and Senning.